A 3 hour old preterm baby develop respiratory grunt and X-ray shows reticulonodular pattern. Diagnosis is
1. Hyaline membrane disease
2. Transient tachypnea of newborn
3. Meconium aspiration syndrome
4. All of the above

Correct answer: 1. Hyaline membrane disease

Explanation: Hyaline membrane disease Respiratory distress occurs in the first 6 hours of life Tachypnoea,retractions,cyanosis,grunting,decreased air entry are seen X ray:reticulogranular pattern,ground glass opacity,low lung volume,air bronchogram Ref : ESSENTIAL PEDIATRICS,O.P.GHAI, PG NO:143, 7th edition